All of the following vaccines can prevent pneumonia except:
1. Measles
2. Rubella
3. Pneumococcal
4. H. influenza

Correct answer: 2. Rubella

Explanation: Common causes of pneumonia in children: Str. pneumoniae & H. influenza. So Pneumococcal vaccine & Hib vaccine can prevent pneumonia. Measles decreases the cell mediated immunity in children so predisposes the child to infections Therefore on giving measles vaccine it prevents some amount of infections too.